Cupola sign –
1. Radiological finding in supine posture for pneumoperitoneum
2. Radiological finding in supine posture for pneumothorax
3. Air in Morrison pouch
4. Both wall of bowel is seen

Correct answer: 1. Radiological finding in supine posture for pneumoperitoneum

Explanation: Cupola sign is seen in supine film of pneumoperitoneum